Thickening of axon leads to -
1. Increased speed of conduction
2. Decreased speed of conduction
3. Increased absolute refractory period
4. Unmyelination

Correct answer: 1. Increased speed of conduction

Explanation: Ans. is 'a' i.e., Increased speed of conduction o Thickness of nerve fiber (Axon) has linear relation with velocity (speed) of conduction.Factors affecting nerve conduction (Propagation of APIo There are many factors that affect the nerve conduction. Propagation of action potential (nerve conduction) is favoured byQ:-Low axoplasmic resistance (Ri)QLow external longitudinal resistance (Ro)High membrane resistance (Rm)QLow membrane capacitance (Cm) QHigh space constantHigh time constantThick (large) nerve - Linear relation with conduction QMyelination of nerv e Q